False regarding bacterial plasmids is ?
1. Extrachromosomal
2. Eliminated by treating with radiation
3. Transmission of different species
4. Can cause lysogenic conversion

Correct answer: 4. Can cause lysogenic conversion

Explanation: Ans. is 'd' i.e., Can cause lysogenic conversion